A 38 year old male known case of type 2 DM was started on oral hypoglycemic drugs. After few days he comes back to OPD with complains of urge to drink water excessively and increased frequency of micturition . He also complains of a burning sensation while urinating . Which drug could be the possible cause of the above mentioned symptoms?
1. Exenatide
2. Glipizide
3. Metformin
4. Dapagliflozin

Correct answer: 4. Dapagliflozin

Explanation: Patient suffers from Urinary tract infection, Dapagliflozin is the causative drug here. Dapagliflozin It is a sodium-glucose co-transporter-2 inhibitor Improve glycemic control by inhibiting glucose Inhibit glucose reabsorption in the proximal tubule of the nephron | result in Glucosuria | result in urinary tract infections(High glucose concentration in the urine can provide a rich source of nutrients for bacteria. Therefore, bacteria can multiply and make foundation for infection) S/E: UTI Dehydation Polyuria Exacerbate tendency to hyperkalemia and DKA